False about pernicious anemia
1. severe lack of intrinsic factor
2. Autoimmune disorder against parietal cells of stomach
3. Atrophy of all layers of body and fundus
4. Serum gastrin level is decreased

Correct answer: 4. Serum gastrin level is decreased

Explanation: Serum gastrin level is raised and serum pepsinogen 1 levels are low.